True about Eustachian tube is / are -a) Size is 3.75 cmb) Cartilagenous 1/3 & 2/3rd bonyc) Opens during swallowingd) Nasopharyngeal opening is narroweste) Tensor palati helps to open it
1. acd
2. bde
3. ace
4. ade

Correct answer: 3. ace